Polypetide chain termination is enhanced by:
1. Stop codon
2. Promoter
3. Ribosomal unit
4. All

Correct answer: 1. Stop codon

Explanation: A i.e. Stop Codon;